Ketone bodies are used by all except -
1. Brain
2. Heart muscles
3. Skeletal muscles
4. Hepatocytes

Correct answer: 4. Hepatocytes

Explanation: Ans. is 'd' i.e., Hepatocytes o Ketone bodies are synthesized by liver and are utilized by extrahepatic tissues like heart, muscles, renal cortex and brain (in starvation). o Liver cannot utilize ketone bodies because it lacks enzyme succinyl-CoA-acetoacetate CoA transferase, which is required for the activation of ketone bodies, o The first reaction in use of ketone bodies is activation of acetoacetate. o Liver lacks the enzyme CoA transferase; hence cannot utilize ketone bodies. RBCs can't use fatty acids because they don't have mitochondria